Thorium dioxide causes
1. Lymphoma
2. Lymphanfiosarcoma
3. Angiosarcoma
4. Hemangioendothelioma

Correct answer: 3. Angiosarcoma

Explanation: Angiosarcoma of liver is a aggresive neoplasm associated with exposure to vinyl chloride ,arsenic or thorotrast GENERAL AND SYSTEMIC PATHOLOGY RAMDAS NAYAK PGNO.464 IMAGE REF: